The criteria for carrying out a mitral valvuloplasty includes all of the following except-
1. significant symptoms
2. Isolated mitral stenosis
3. Mobile noncalcified valve
4. Left atrial thrombus

Correct answer: 4. Left atrial thrombus